The most important reason for placing an alveolar graft in cleft palate patient is
1. Improve pronunciation
2. Improve breathing efficiency
3. Make eruptive pathway for permanent canine
4. Improve feeding efficiency

Correct answer: 3. Make eruptive pathway for permanent canine